Maximum conduction occurs in which fibres
1. B fibres
2. A alpha fibers
3. Sympathetic fibres
4. C fibres

Correct answer: 2. A alpha fibers

Explanation: SENSORY NERVE FIBERS